All of the following are uremic manifestation improve with dialysis except -
1. Metabolic acidosis
2. Osteodystrophy
3. Asterixis
4. Nausea,vommiting and anorexia

Correct answer: 2. Osteodystrophy